Neuronophagia is seen in -
1. Amoebic encephalitis
2. Poliomyelitis
3. Tuberculer meningoencephalitis
4. Cerebral malaria

Correct answer: 2. Poliomyelitis